Typical appearance of diabetic cataract is –
1. Sunflower type
2. Breadcrumb type
3. Polychromatic lusture
4. Snow flake appearance

Correct answer: 4. Snow flake appearance

Explanation: Typical diabetic cataract is a snowflake or snow-storm cataract.